Windswept deformity is seen in
1. Rickets
2. Scurvy
3. Hyperparathyroidism
4. Hypothyroidism

Correct answer: 1. Rickets

Explanation: Valgus deformity of one knee in association of varus deformity of other knee is known as windswept deformity. Seen in Rickets, Rheumatoid arthritis etc.